Action of superior oblique is following except:
1. Extortion
2. Depression
3. Abduction
4. Intortion

Correct answer: 1. Extortion

Explanation: A i.e. Extortion Superior oblique - intort, depress & abduct Q the eye in primary position; whereas inferior oblique-extort, elevate & abduct Q the eye in primary position. Muscle Action Superior oblique & Superior rectus IntortorsQ Inferior oblique & Inferior rectus ExtortorsQ Mnemonic - '!Superiors = Intortors & Inferiors= Extortors" Medial rectus + Superior & Inferior rectus AdductorsQ; Lateral rectus + Superior & AbductorsQ Inferior oblique Mnemonic - "BOLR" i.e. aBductor = Oblique (sup. & inf.), + Lateral Rectus Mnemonic - "MIS RED" i.e. Medial/Inferior/ Superior REctus are aDDuctors Superior rectus & Inferior oblique Elevators Inferior rectus & Superior oblique Depressor In aBducted eye ObliquesQ are chief tortors Mnemonic= "BORD" In aDDucted eye RectiQ are chief tortors Action of individual muscles Muscle In primary Abducted Adducted position eye eye 1. Superior DepressionQ Only Only oblique A bductionQ intortion depression IntortionQ 2. Inferior Elevation Only Only oblique Abduction extortion elevation Extortion 3. Inferior Depression Only Only rectus Adduction depression extortion Extortion 4. Superior Elevation Only Only rectus Adduction elevation intortion Intortion 5. Medial rectus Only adduction ? 6. Lateral rectus Only abduction - ? Mn ="SORT BID BEXT IFO=So BID BEST IPO" = Superior Oblique = aBduction, Intorsion, Depression; Inferior Oblique = aBduction, Elevation, Extorsion